Radiofemoral delay is characteristic of ____________
1. Patent ductus arteriosis
2. Coarctation of aorta
3. Aortic dissection
4. Takayasu's disease

Correct answer: 2. Coarctation of aorta

Explanation: In coarctation of aorta there will be radiofemoral delay. Ref : Ghai essential of pediatrics, eighth edition, p.no:432